The medial geniculate body is an eminence on the inferior surface of the thalamus lateral to the midbrain. Which of the following function is related to medial geniculate body?
1. Vision
2. Hearing
3. Balance
4. Smell

Correct answer: 2. Hearing

Explanation: The medial geniculate body receives input independently from the cochlear nuclei (hearing). Projections then continue on to the primary superior temporal convolution (transverse gyrus of Heschl). Lateral geniculate body is concerned with vision. Ref: Anatomic Basis of Neurologic Diagnosis By Cary Alberstone, Michael Steinmetz, 2009, Page 308; Guyton's physiology, 22nd edition, Page 657.